The adult maxillary air sinus always lies directly above the following teeth:
1. Incisors
2. Incisors and canine
3. Premolars
4. Molars

Correct answer: 4. Molars